Heme is which porphyrin:
1. Type I
2. Type II
3. Type III
4. Type IV

Correct answer: 3. Type III

Explanation: The side chain groups in porphyrins may be arranged in four different structural configurations (I to IV). Only type I and type III series are found in nature and the porphyrins of type III series are not only more abundant but are also physiologically important in humans. Haem is a type III porphyrin.